Sign of thyroid ophthalmopathy -
1. Von Graefe's sign
2. Dalrymple's sign
3. Gifford's sign
4. All of the above

Correct answer: 4. All of the above

Explanation: von Graefe's sign - lid lag Dalrymple's sign - Retraction of upper lid producing staring and frightening appearance. Most common C/f. Gifford's sign - difficulty inversion of upper lid. Stellwag's sign - infrequent blinking. Ref: AK Khurana 6thE pg414